All of the following can cause Pulseless electrical activity except
1. Pulseless VT
2. Tension pneumothorax
3. Massive pulmonary embolism
4. Cardiac tamponade

Correct answer: 1. Pulseless VT

Explanation: Pulseless electrical activityis a very disconcerting medical scenario with a very high mortality unless its aetiology can be quickly ascertained and corrected. Treatment involve starting CPR immediately and administering 1 mg epinephrine IV mnemonic to remember the differentcauses of pulseless electrical activityis: MAD (triple H) CAT Mnemonic M:massivepulmonary embolism A:acidosis D:drug overdose H:hypoxia/hypothermia H:hypovolaemia H:hypokalaemia/hyperkalaemia C:cardiac tamponade A:acute myocardial infarction T:tension pneumothorax